Severity of mitral stenosis is assessed by
1. Loud opening snap
2. Length of murmur
3. Loud S1
4. Splitting S2

Correct answer: 2. Length of murmur

Explanation: Ref Harrison 19 th ed pg 1540 In general, the duration of this murmur correlates with the severity of the stenosis in patients with preserved CO. In patients with sinus rhythm, the murmur often reappears or becomes louder during atrial systole (presystolic accentuation).